Rosette shaped cataract is seen in:
1. Trauma
2. Radiation
3. DM
4. Iridocyclitis

Correct answer: 1. Trauma

Explanation: A i.e. Trauma Blunt trauma (concussion or contusion) to eye 1/t formation of vossius ringQ on anterior surfaceQ of lens and rosette shaped cataractQ usually in the posterior cortex. Penetrating trauma (with retention of copper or copper alloy like brass) 1/t golden brown ring (cu deposited in peripheral parts of descemet's membrane layer of cornea) resembling Kayser-Fleischer ring of wilsons diseaseQ and Sunflower cataractQ